Areas of carcinoma of oral mucosa can be identified by staining with:
1. 1% zinc chloride
2. 2% silver nitrate
3. Gentian violet
4. 2% toluidine blue

Correct answer: 4. 2% toluidine blue

Explanation: Toluidine Blue Toluidine blue is a basic metachromatic dye with high affinity for acidic tissue components, thereby staining tissues rich in DNA and RNAQ. Wide applications both as vital staining in living tissues and as a special stain used in vivo to identify dysplasia and carcinoma of the oral cavityQ.